A 15 years old girl presented with complaints of puffy eyes, swelling in the neck, weight gain, and fatigue. On investigations thyroid peroxidase antibodies present and TSH levels are also elevated. What of the following is most likely diagnosis?
1. Hashimoto thyroiditis
2. Graves' disease
3. Iodine deficiency
4. Congenital hypothyroidism

Correct answer: 1. Hashimoto thyroiditis

Explanation: Elevated TSH levels , presence of thyroid peroxidase antibodies and goiter are s/o Hashimoto thyroiditis. Hashimoto thyroiditis: Aka Chronic lymphocytic thyroiditis Autoimmune disease More common in girls C/F: Goiter, and signs of hypothyroidism like weight gain, fatigue, puffy eyes, slow HR, sensitivity to cold etc. Investigations shows: Anti-thyroglobulin antibodies and TPO-Abs. TSH: Elevated